Splenic artery is a branch of -
1. Superior mesenteric artery
2. Inferior mesenteric artery
3. Descending Aorta
4. Coeliac trunk

Correct answer: 4. Coeliac trunk

Explanation: Ans. is 'd' i.e., Coeliac trunk o Splenic artery is the largest branch of coeliac trunk.